A 65 year old male smoker presents with gross total painless hematuria. The most likely diagnosis is ?
1. Carcinoma of urinary blader
2. Benign prostatic hyperplasia
3. Carcinoma prostate
4. Cystolithiasis

Correct answer: 1. Carcinoma of urinary blader

Explanation: Ans. is 'a' i.e., Carcinoma of urinary bladder "Painless haematuria is by far the most common symptom and should be regarded as indicative of bladder carcinoma unless proven otherwise." Bailey Cigarette smoking is the main etiological factor for bladder cancer.